Ovarian artery is a branch of:
1. Abdominal aorta
2. Internal iliac artery
3. External iliac artery
4. Inferior mesenteric artery

Correct answer: 1. Abdominal aorta

Explanation: Ans. A Abdominal aortaRef: Clinically Oriented Anatomy by Keith, Moore, 5th ed. pg. 387; Gray's Anatomy, 40th ed. Ch. 62* The ovarian artery/testicular arises from the abdominal aorta.* The ovarian arteries are branches of the abdominal aorta and originate below the renal arteries. That's the reason it is sometimes also referred as "water under the bridge"* The ovarian veins emerge from the ovary as a plexus (pampiniform plexus) in the mesovarium and suspensory ligament.* Abdominal aorta divides into right and left common iliac artery at the level of L4 (Gray's) which further divides into internal and external iliac arteries supplying the organs of pelvis.* Length of right iliac artery: 5 cmQ* Length of left iliac artery: 4 cmQ